Hydrops foetalis is seen in following except :
1. Rh incompatibility
2. Syphilis
3. ABO incompatibility
4. CMV

Correct answer: 3. ABO incompatibility

Explanation: Ans. is c i.e. ABO incompatibility